Cryoprecipitate contains all except
1. Factor VIII
2. Factor IX
3. Fibrinogen
4. VWF

Correct answer: 2. Factor IX

Explanation: Factor IX Cryoprecipitate It is used to substitute factor VIII Storage conditions:? - Produced by freezing fresh plasma to under -65degc then allowing it to thaw for 18 hours at 4'c. After centrifugation cryoprecipitable proteins are separated may be stored at under -180c for upto 1 year. Composition and transfustion charcteristics:- Contains factor VIII, fibrinogen and fibronectin at concentrations greater than those of plasma. Also contains factor XIII. Indications Treatment of acquired or congenital deficiencies of VIII, Von Willebrand factor and fibrinogen. Useful in making biological clues that contain fibrinogen.